Enzyme in fatty acid synthase complex that has pantothenic acid as coenzyme:
1. Acetyl transacylase.
2. Thioesterase.
3. Enoyl reductase.
4. Acyl carrier protein.

Correct answer: 4. Acyl carrier protein.

Explanation: In eukaryotic cells, including man, the fatty acid synthase exists as a dimmer with two identical units. Each monomer possesses the activities of seven different enzymes and an acyl carrier protein (ACP) bound to 4’ phosphopentethiene.